Which of the following is an example of a phase 1 Xenobiotic reaction? (Repeat)
1. Acetylation
2. Hydroxylation
3. Methylation
4. Glucuronidation

Correct answer: 2. Hydroxylation

Explanation: Ans: B (Hydroxylation) Ref: The Pharmacological basis of therapeutics by Goodman & Gilman - 12th ed, page no. 125Explanation:Hydroxylation is an example for phase 1 reaction while.Acetylation, glucuronidation and methylation are examples of conjugation reactions which are phase 2 reactions. (See Table 7)